Which among the following is an example for programmed cell death?
1. Councilman Bodies
2. Gamma Gandy Body
3. Russell bodies
4. None

Correct answer: 1. Councilman Bodies

Explanation: During apoptosis, buds or projections are formed on the cell surface. These buds contain shrunken cell organelles. These surface buds detach loose, the entire cell thus is fragmented and released as loose particles known as the apoptotic bodies. A whole shrunk, shrivelled up and eosinophilic cell is also known as a mummified cell. The best example for this process is seen in the liver in all conditions of hepatitis. The apoptotic cell lies free in the sinusoid. These bodies are known as Councilman Bodies. Gamna-Gandy bodies represent organized foci of hemorrhage within the spleen, usually caused by portal hypertension and rarely observed in children. Russell Bodies are smooth rounded bodies which occur in the cytoplasm of plasma cells, particularly in chronically inflamed tissues and in the plasma cell neoplasms, multiple myeloma or plasmacytoma. Ref: Textbook of Pathology By Datta, 2004, Page 51 ; Cell proliferation & Apoptosis by David Hughes, H. Mehmet, 2003, Page 211